Scleral buckling is used for treatment of-
1. Cataract
2. Scleritis
3. Retinal detachment
4. Vitreous hemorrhage

Correct answer: 3. Retinal detachment

Explanation: In retinal detachment to maintain chorioretinal apposition, scleral buckling is done. Inward indentation of sclera to provide external tamponade (scleral buckling). Scleral buckling is achieved by inserting an explant (silicone sponge or solid silicone band) with the help of mattress type sutures applied in the sclera. Ref: khurana 5 th edition , page no.297